IQ related genes have recently been found on which chromosome?
1. Chromosome 21
2. Chromosome X
3. Chromosome 10
4. Chromosome 18

Correct answer: 2. Chromosome X

Explanation: A genomic distribution analysis demonstrated that IQ-related genes were enriched in seven regions of chromosome 7 and the X chromosome.(Refer: Nelson's Textbook of Pediatrics, SAE, 1st edition)